Simple method to evaluate the plaque after a thorough brushing can be done by ?
1. Snyder Test
2. Sand Paper Strips
3. Disclosing Solution
4. Unwaxed Floss

Correct answer: 3. Disclosing Solution